Carpal bone which articulates with radius ?
1. Trapezium
2. Scaphoid
3. Capitate
4. Hamate

Correct answer: 2. Scaphoid

Explanation: Two carpal bones articulate with radius: Scaphoid and lunate.